The Radiological hallmark of Osteo SA-
1. Soap bubble appearance
2. Sun ray appearance
3. Osteoid formation by neoplastic cells
4. Cotton wool appearance

Correct answer: 2. Sun ray appearance

Explanation: Ans. is 'b' i.e. sunray appearance .X-ray features of Osteosarcoma.Area of irregular destruction of metaphysesErosion of the overlying cortex.New bone formation in the matrix of the tumor*Periosteal reaction* (which is irregular; periosteal reaction in osteomyelitis is smooth)Codman's triangle*Sun-ray appearance*